Most common intraocular malignancy of childhood is
1. Neuroblastoma
2. Rhabdomyosarcoma
3. Malignant melanoma
4. Retinoblastoma

Correct answer: 4. Retinoblastoma

Explanation: Retinoblastoma arises from primitive retinal cells, presented commonly in first two years of life. Inheritance Pattern In hereditary retinoblastoma, mutations in the RB1 gene appear to be inherited in an autosomal dominant pattern. Autosomal dominant inheritance means that one copy of the altered gene in each cell is sufficient to increase the risk of cancer. Reference: Aravind FAQS in Ophthalmology; First Edition; Page no: 407